Kelly's plication operation is done in :
1. Stress incontinence
2. Vault prolapse
3. Rectal prolapse
4. Uterine prolapse

Correct answer: 1. Stress incontinence

Explanation: Stress incontinence - involuntary escape of urine with the increase of abdominal pressure. Treatment of stress incontinence Conservative Surgical 1) Pelvic floor muscle training 2) Bio feedback therapy 3) Drugs 4) Paraurethral implants 1) Kelly's plication 2) Bursch colposuspension 3) MMK procedure 4) Transvaginal sling 5) Trans obturator sling 6) Laparoscopic suspension of bladder neck Types stress incontinence according to the cause Type I: Incontinence due to loss of posterior urethrovesical angle alone. Type II: Incontinence due loss of posterior urethrovesical angle as well as urethral hypermobility Type III: Incontinence due to intrinsic sphincter deficiency(ISD)